A child with a small head, minor anomalies of the face including a thin upper lip, growth delay, and developmental disability can have all of the following,except –
1. A chromosomal syndrome
2. A teratogenic syndrome
3. A mendelian syndrome
4. A polygenic syndrome

Correct answer: 4. A polygenic syndrome

Explanation: A syndrome with facial anomalies including a thin upper lip, growth delay and developmental disabilities is likely to result from either a teratogenic congenital malformation, a single gene defect (Mendelian) or a chromosomal disorder. A trait is called polygenic if multiple genes are thought to contribute to the phenotype and includes conditions like diabetes and hypertension. A polygenic disorder is the least likely diagnosis amongst the options provided and the single best answer of exclusion.